AH are directly ionizing radiations except:
1. Neutron
2. Proton
3. Auger electron
4. Positron

Correct answer: 1. Neutron

Explanation: Ans: a (Neutron) Ref: Badhuri, Textbook of radiology; Tepper, Radiation oncology; O.P Tondon, General chemistry, http://en.wikipedia.org/wiki/Ionizing_radiationAuger electron, positron and nuclei are directly ionizing radiations whereas neutron is not a directly ionizing radiation.Ionizing radiation is composed of highly-energetic particles or waves that can detach (ionize) at least one electron from an atom or a molecule. Ionizing ability is a function of the energy of individual particles or waves, and not a function of their number. A large flood of particles or waves will not, in the most-common situations, cause ionization if the individual particles or waves are insufficiently energetic.Charged particles such as elections, positrons, and alpha particles interact strongly with electrons of an atom or molecule. Neutrons, on the other hand, do not interact strongly with electrons, and so they cannot directly cause ionization by this mechanism.However, fast neutrons will interact with the protons in hydrogen, and this mechanism produces proton radiation (fast protons). These protons tire ionizing because of their strong interaction with electrons.So neutrons cannot ionize directly. They can only ionize indirectly by the production of this 'proton radiation'.Auger electron spectroscopy (AES)It is a common analytical technique used specifically in the study of surfaces and, more generally, in the area of materials science.Underlying the spectroscopic technique is the Auger effect, which is based on the analysis of energetic electrons emitted from an excited atom after a series of internal relaxation events.The Auger effect is an electronic process. It is the heart of AES resulting from the inter- and intra-state transitions of electrons in an excited atom.When an atom is probed by an external mechanism, such as a photon or a beam of electrons with energies in the range of 2 keV to 50 keV, a core state electron can be removed leaving behind a hole.Ionizing radiationsNon ionizing radiationalpha raysBeta rays (electrons)Auger electronsGamma raysDelta raysUV radiationInfrared radiationRadiofrequency ablationMicrowave radiationProtonsFluoroscopy, DSASPECT, PETNuclear scans.MRI and USG are investigations which do not produce radiation.Tondon, General chemistry;http://en.wikipedia.org/wiki/Ionizing_radiation